Globi in leprosy consist of ?
1. AFB + macrophages
2. neutrophils + AFB
3. Platelet plug
4. None of the above

Correct answer: 1. AFB + macrophages

Explanation: Ans. is 'a' i.e., AFB + Macrophages The bacilli are clumped together by a lipid - like substance, the glia, these masses are known as globi. "In clinical material from lepromatous patient they (lepra) bacilli are typically found within the macrophages in dense clump"